Pethidine is pharmacologically different from morphine because it
1. Causes more sedation
2. Causes more constipation
3. Has additional Anticholinergic action
4. Causes spasm of sphincter of Oddi

Correct answer: 3. Has additional Anticholinergic action

Explanation: Uses of opioids IV morphine Myocardial infarction, Acute pulmonary edema Codeine, Pholcodeine, Dextromethorphan, Noscapine Cough suppressants Loperamide, Diphenoxylate Noninfective diarrhea Morphine Pre-anesthetic medication Pethidine Reduces shivering after anesthesia ( a2 receptor action) Methadone Neuropathic / Cancer pain Methadone Opioid abuse & Opioid rotation treatment (Refer: K. D. Tripathi's Essentials of Medical Pharmacology, 7th edition, pg no: 475)